Cholinesterase activators are useful for treatment of which poisoning ?
1. Paraquat
2. Parathion
3. Carbamates
4. Organochlorocompounds

Correct answer: 2. Parathion

Explanation: Ref:KD Tripathi pharmacology 6th edition (page.no: 99,105) Cholinesterase reactivators like Oximes(pralidoxime) are used to restore neuromuscular transmission in case of organophosphate anti-ChE poisoning. Organophosphates are Dyflos (DFP) Echothiophate Parathion, Malathion Diazinon(TIK-20) Tabun, Sarin, Soman. Pralidoxime attaches to anionic site of enzyme which remains unoccupied in presence of OP inhibitors. It's Oxime end react with phosphorus atom attached to the esteratic site. Oxime-Phosphonate so formed diffuses away leaving the reactivated ChE.